All of the following are found in the posterior triangle of the neck except one. Which one is the exception?
1. External jugular vein.
2. Subclavian vein.
3. Hypoglossal nerve.
4. Phrenic nerve.

Correct answer: 3. Hypoglossal nerve.

Explanation: The hypoglossal (CN XII) nerve is not found in the posterior triangle; it is, however, present in the  submandibular triangle. 
Contents of the posterior triangle include the external jugular and subclavian vein and their tributaries, the subclavian artery and its branches, branches of the cervical plexus, CN  XI, nerves to the upper limb and muscles of the triangle ﬂoor, the phrenic nerve, and the brachial plexus.